A 33-year-old sexually active woman, a week after her menstrual period, develops a painful, swollen right knee. The most likely causative organism has which of the following characteristics?
1. Cannot make ATP
2. Both hyphae and spores
3. No true cell wall
4. Can live within neutrophils

Correct answer: 4. Can live within neutrophils

Explanation: This is the history of septic arthritis due to N. gonorrhoea. Gonococcal infections can disseminate through blood and can cause septic arthritis. Gonococcus is a gram-negative diplococcus, catalase, and oxidase positive, fermenting only glucose. It causes the sexually transmitted genitourinary infection gonorrhea as well as other forms of gonococcal disease including disseminated gonococcemia, septic arthritis, and gonococcal ophthalmia neonatorum. It is oxidase positive and aerobic, and it survives within neutrophils. Ref: Harrison 20th edition pg 1456